Acute diffuse proliferative glomerulonephritis will have all of the following features, except:
1. Microscopic haematuria
2. Raised blood urea level
3. Raised serum creatinine level
4. Hypoalbuminaemia

Correct answer: 4. Hypoalbuminaemia

Explanation: . Hypoalbuminaemia